Investigation of choice for diagnosing macular edema:-
1. Biopsy
2. FA
3. Optical coherence tomography
4. ERG

Correct answer: 3. Optical coherence tomography

Explanation: Optical Coherence Tomography Non-excisional "OPTICAL BIOPSY" Uses low coherence interferometry, employs michelson interferometer 830 nm infrared light, Super luminescent diode light source. Not very specific in hazy media and myopic discs